Ligation of the coeliac artery mostly affects all except -
1. Stomach
2. Pancreas
3. Jejunum
4. Spleen

Correct answer: 3. Jejunum

Explanation: Coeliac artery is the artery of foregut and supplies foregut derivatives i.e. lower part of esophagus, stomach, proximal part of duodenum, liver, spleen and major part of pancreas.
Jejunum is midgut derivative which is supplied by superior mesenteric artery.